The substance used in OCG is
1. Iopanoic acid
2. Sodium diatrozite
3. Meglumine iodothalamate
4. Biligraffin

Correct answer: 1. Iopanoic acid

Explanation: Iopanoic acid is used in oral cholecystography Biligraffin is used in IV cholangiography Ref: Sabiston 20th edition Pgno :1487